A patient came with complaints of itching in groin since 2 months. All of the following can cause this condition except
1. Aspergillus
2. Trichophyton
3. Microsporum
4. Epidermophyton

Correct answer: 1. Aspergillus

Explanation: Trichophyton, Microsporum & Epidermophyton can cause cutaneous fungal infections (Dermatophytosis) whereas Aspergillus is responsible for systemic fungal infections.